Which is not transmitted by arthopod ?
1. Rickettsia prowazakii
2. Coxiella burnetii
3. Rickettsia akari
4. Rickettsia rickettsii

Correct answer: 2. Coxiella burnetii

Explanation: Ans. is 'b' i.e., Coxiella burnetti . The Q fever agent differs from other rickettsiae in many features. - Smaller size - Greater resistance to heat and drying - Major transmission route being inhalation or ingestion. - Independent of arthropod vector. Remember . In milk, Coxiella burnetii may survive pasteurization by the holding method, but the flash method is effective.